Most common presentation of mumps -
1. Pain and lacrimation of eye
2. Pain and swelling of parotid glands
3. Pain and swelling of submandibular and sublingual glands
4. Aseptic meningitis

Correct answer: 2. Pain and swelling of parotid glands

Explanation: Ans. is 'b' i.e., Pain and swelling of parotid glands Mumpso It is an acute contagious disease characterized by nonsuppurative enlargement of one or both salivary glands,o Mumps virus belongs to paramyxoviruso Source of infection - Clinical and subclinical caseso Man is the only natural hosto Age groupo Period of infectivityo Mode of transmissiono Incubation period----5-15 years4-6 days before the onset of symptom to a week thereafter.Droplet infection by respiratory route.2-3 dayso Clinical manifestationy 30-40% of infections are sub-clinicaly Characteristic presentation is pain and swelling in either one or both parotid glands.Sublingual or submandibular glands may also be involved.Orchitis is the most common manifestation of mumps among postpubertal males.Aseptic meningitis, which may develop before, during, after, or in the absence of parotitis.